A 50-year-old right-handed female presented to the OPD with right sided hemiparesis. She also had sensory loss along with right homonymous hemianopia. On neurological examination, dysarthria, global aphasia, alexia, agraphia, acalculia and apraxia were noted. NCCT head The artery involved in the above condition is a content of: -
1. Cerebellomedullary cistern
2. Cisterna pontis
3. Sylvian cistern
4. Quadrigeminal cistern

Correct answer: 3. Sylvian cistern

Explanation: This is a case of the occlusion of the middle cerebral artery which is a content of Sylvian cistern. CT image shows Hyperdense MCA sign (thrombus within the MCA) COMPLETE OCCLUSION OF MCA Presents with: - Contralateral hemiplegia, Hemianesthesia Homonymous hemianopia Day or two of gaze preference to the ipsilateral side Dysarthria Anosognosia, constructional apraxia, and neglect if non-dominant hemisphere is affected Global aphasia if the dominant hemisphere is affected.